Functional bracing is now the gold standard in nonoperative management of which fractures ?
1. Fracture shaft humerus
2. Fractures of both bones of the forearm
3. Fracture shaft tibia
4. Fracture Shaft Femur

Correct answer: 1. Fracture shaft humerus

Explanation: Answer- A. Fracture shaft humerusPrinciple- it relies on the hydrostatic splintage of the fracture due to contraction of muscles in a tight compamentIt has now become the gold standard of conservative management of humerus fractures.